Poiseuille's Hagen law is
1. F = (PA-PB) X 3.14 X r^4/8nl
2. F = (PA+PB) X 3.14 X r^4/8nl
3. F = (PA/PB) X 3.14 X r^4/8nl
4. F = (PA X PB) X 3.14 X r^4/8nl

Correct answer: 1. F = (PA-PB) X 3.14 X r^4/8nl

Explanation: Poiseuille-Hagen FormulaThe relation between the flow in a long narrow tube, the viscosity of the fluid, and the radius of the tube is expressed mathematically in the Poiseuille-Hagen formula:F = (PA-PB) X (dj/8) X (1/dj) X (r4/L)whereF = FlowPA-PB = Pressure difference between the two ends of the tubedj = Viscosityr = Radius of tubeL = Length of tube